A 10 year old child comes to you with exarticulation of 11.
Choice of transport medium is
1. Patients Blood
2. Hot Water
3. Milk
4. None of the above

Correct answer: 3. Milk